Which of the following is caused by defective transport of tryptophan?
1. Hartnup disease
2. Maple syrup urine disease
3. Alkaptonuria
4. Phenylketonuria

Correct answer: 1. Hartnup disease

Explanation: Hartnup disease It is an inherited disorder in the metabolism of tryptophan. It is due to defective transport of tryptophan and other neutral amino acids in the intestine and kidney. This results in deficiency of tryptophan leading to decreased synthesis of niacin and serotonin. Thus there are pellagra (niacin deficiency), neurological symptoms (serotonin deficiency) and amino aciduria due to defective transport of amino acids in kidney.